Howship-Romberg sign seen in
1. Inguinal hernia
2. Femoral hernia
3. Spigelian hernia
4. Obturator hernia

Correct answer: 4. Obturator hernia

Explanation: In Obturator hernia compression of the obturator nerve, which causes pain in the anteromedial aspect of the thigh- Howship-Romberg sign